Triple assessment includes all EXCEPT:
1. FNAC
2. Bone scan
3. Clinical examination
4. Mammography

Correct answer: 2. Bone scan

Explanation: ANSWER: (B) Bone scanREF: Bailey & Love 25th edition page 289, 290Triple assessment:In any patient who presents with a breast lump or other symptoms suspicious of carcinoma, the diagnosis should be made by a combination of clinical assessment, radiological imaging and a tissue sample taken for either cytological or histological analysis, the so called triple assessment. The positive predictive value (PPV) of this combination should exceed 99.9%.